All of the following are effective in giardiasis except
1. Co-trimoxazole
2. Furazolidine
3. Metronidazole
4. Tinidazole

Correct answer: 1. Co-trimoxazole